Lacunar cells is seen in which type of Hodgkins Lymphoma:
1. Mixed cellularity type
2. Lymphocyte predominant
3. Nodular Sclerosis Type
4. All of the above

Correct answer: 3. Nodular Sclerosis Type

Explanation: Ans. C: Nodular Sclerosis Type Reed-Sternberg cells (also known as lacunar histiocytes for certain types) are different giant cells found on light microscopy in biopsies from individuals with Hodgkin's lymphoma (aka Hodgkin's disease; a type of lymphoma), and certain other disorders. They are usually derived from B lymphocytes.